Phelps sign is seen in -
1. Glomus jugulare
2. Vestibular Schwannoma
3. Ménière's disease
4. Neurofibromatosis

Correct answer: 1. Glomus jugulare